NOT True about septic arthritis
1. Seen in children 6-12 years
2. Toxic child
3. Increased ESR
4. Absent limb movements

Correct answer: 1. Seen in children 6-12 years